In which class of cavities is amalgam contraindicated
1. Class 1
2. Class 2
3. Class 4
4. Class 5

Correct answer: 3. Class 4